A study of skin biopsy of SLE patient using CRT labeled human IgG antiserum shows deposition of irregular particles at dermoepidermal junction. This means there is presence of
1. Anti-nuclear antibody
2. Anti-collagen antibody
3. Anti-epithelial antibody
4. Immune complex deposits

Correct answer: 4. Immune complex deposits

Explanation: Ans. d. Immune complex deposits